Flight of idea is seen in -
1. Mania
2. Schizophrenia
3. Depression
4. Delirium

Correct answer: 1. Mania

Explanation: Flight of ideas is seen in mania, in which there is rapidly produced speech with abrupt shifts from one topic to other.